Excitatory post synaptic potential is
1. Depolarisation of post synaptic membrane by opening of K+ channels
2. Hyperpolarisation of post synaptic membrane by opening of Cl- channels
3. Depolarisation of post synaptic membrane by opening of Ca2+ channels
4. Hyperpolarisation of post synaptic membrane by opening of Na+ channel

Correct answer: 3. Depolarisation of post synaptic membrane by opening of Ca2+ channels

Explanation: EPSP: Depolarisation of post synaptic membrane by opening of Na+ or Ca2+ channels
IPSP : Hyperpolarisation of post synaptic membrane by opening of Cl- or K+ channels